The management technique which is more promising tool for application in health field is:-
1. Cost effective analysis
2. Cost benefit analysis
3. Cost accounting
4. Input output analysis

Correct answer: 1. Cost effective analysis

Explanation: Cost Effective Analysis - This is a more promising tool for application in health field than cost benefit analysis It is similar to cost benefit analysis except that benefit ,instead of being expressed in Monetary terms is expressed in terms of Results achieved eg - No. of lives saved or No. of days free from disease